Which of the following is live attenuated vaccine:
1. Salk polio vaccine
2. Sabin polio vaccine
3. Rabies vaccine
4. KFD vaccine

Correct answer: 2. Sabin polio vaccine

Explanation: Ans. b. Sabin polio vaccine